Which of the following is known as monkey fever -
1. Plague
2. KFD
3. Yellow fever
4. Trench fever

Correct answer: 2. KFD

Explanation: Ans. is 'b' i.e., KFDo White disease- AIDSo Poverty disease - Cholerao Hundred day cough: Pertussis (Whooping cough)o 5 day fever: Trench fevero 8th day disease: Tetanuso Black sickness: Kala azaro Black death: Plagueo Cerebrospinal fever: Meningococcal meningitiso Kochs phenomenon: Tuberculosiso Hansen s disease: Leprosyo Break-bone fever: Dengueo Slim disease: AIDSo Monkey fever: KFDo First disease/ Rubeolla: Measleso Second disease: Scarlet fevero Third disease/ German Measles: Rubellao Fourth disease: Duke's diseaseo Fifth disease: Erythema infectiosum (Parvovirus)o Sixth disease/Baby Measles/3-day fever: Exanthem subitum/ Roseola infantumo Barometer of Social Welfare (India): Tuberculosiso Father of Public Health: Cholerao River Blindness: Onchocerciasis